All of the following tumours are associated with organisms, EXCEPT:
1. Gastric carcinoma
2. Hepatocellular carcinoma
3. Nasopharyngeal carcinoma
4. Non-small cell lung carcinoma

Correct answer: 4. Non-small cell lung carcinoma

Explanation: Cigarette smoking causes 85-90% of cases of non-small cell lung carcinoma. It's etiology is not associated with any organisms. Certain human malignancies are associated with viruses. Examples include, Burkitt's lymphoma and nasopharyngeal carcinoma (Epstein-Barr virus) Hepatocellular carcinoma (hepatitis viruses) Cervical cancer T cell leukemia (retroviruses) Gastric adenocarcinoma (H pylori) Ref: Morin P.J., Trent J.M., Collins F.S., Vogelstein B. (2012). Chapter 83. Cancer Genetics. In D.L. Longo, A.S. Fauci, D.L. Kasper, S.L. Hauser, J.L. Jameson, J. Loscalzo (Eds), Harrison's Principles of Internal Medicine, 18e.